DUB is due to :
1. Endometriosis
2. Fibroid
3. Endometrial carcinoma
4. Irregular shedding of endometrium

Correct answer: 4. Irregular shedding of endometrium

Explanation: Irregular shedding of endometrium